Father of forensic odontology is
1. Paul Zacchias.
2. Orfilla.
3. William Osler.
4. Oscar Amoedo

Correct answer: 4. Oscar Amoedo

Explanation: 1. Paul Zacchias- Father of legal medium Father of toxicology Father of forensic psychiatry. 2. Mathieu Orfila. Father of modern toxicology 3. Calvin Goddard Father of ballistics forensic